Retroperitoneal fibrosis is seen with which 5HT1 and 5HT2 receptor antagonist:
1. Ketanserin
2. Cyproheptadine
3. Methysergide
4. All of the above

Correct answer: 3. Methysergide

Explanation: Ans. C i.e. Methysergide Important side effects of drugs Drug deposited in retina: Chloroquine Drug deposited in muscle: Digoxin Drugs causing hepatitis: Halothane, Rifampin, INH, pyrazinamide Drugs causing intrahepatic cholestasis: Phenothiazines, TCA Hepatotoxins: CC14, Paracetamol Bleomycin and pulmonary changes: Pulmonary fibrosis (stimulation of alveolar macrophages) Drugs causing pulmonary fibrosis: Bleomycin, Busulfan Cardiotoxic drugs: Doxarubicin, Daunorubicin Drugs causing osteoporosis: Glucocorticoids, Heparin Drugs with low safety margin: Lithium, Aminoglycosides, Digoxin Drugs causing hyperuricemia: Pyrazinamide, Ethambutol Drugs causing hirsutism: Minoxidil, Phenytoin Drugs causing extra-pyramidal side effects: Haloperidol, Levodopa In Glucose-6-phosphate deficiency, haemolysis is caused by: Dapsone, - Primaquine, - Sulfonamides etc.